Koeppe's nodules are seen in?
1. Granulomatus anterior uveitis
2. Bacterial corneal ulcer
3. Fungal hypopyon
4. Non Granulomatous anterior uveitis

Correct answer: 1. Granulomatus anterior uveitis

Explanation: Ans. is 'a' i.e., Granulomatus anterior uveitis * Koeppe's nodules are small nodules seen at the inner (pupillary) margin of the iris in patients with granulomatous anterior uveitis, which occurs in conditions such as sarcoidosis and tuberculosis.* The nodules are composed of epithelioid cells and giant cells surrounded by lymphocytes.Also know* Busacca's nodules Seen on the peripheral part of anterior surface of iris. Also seen in Granulomatus anterior uveitis.